Endometriosis has been identified in all organs except
1. Pleura
2. Spleen
3. Pericardium
4. Ureter

Correct answer: 2. Spleen

Explanation: Endometriosis is not found in spleen.